Child Pugh score is a type of
1. Nominal
2. Ordinal
3. Quantitative
4. Qualitative

Correct answer: 2. Ordinal

Explanation: Ref:Park's Textbook of Preventive and Social Medicine 25th Ed